A child has cyanotic disease with left ventricular enlargement wiht left axis deviation. Probable diagnosis Is -
1. TOF
2. VSD
3. Double outlet right ventricle
4. Tricuspid atresia

Correct answer: 4. Tricuspid atresia

Explanation: Tricuspid atresia The clinical picture is usually dominated by severe cyanosis due to obligatory admixture of systemic and pulmonary venous blood in the left ventricle. The ECG characteristically shows RA enlargement, left-axis deviation, and LV hypertrophy ( Harrison's principle of internal medicine,18th edition,pg no. 1927 )